Thinnest bone is a part of which bone
1. Frontal
2. Ethmoid
3. Sphenoid
4. Temporal

Correct answer: 2. Ethmoid

Explanation: The lamina papyracea (or orbital lamina) is a smooth, oblong bone plate which forms the lateral surface of the labyrinth of the ethmoid bone in the skull. The plate covers in the middle and posterior ethmoidal cells and forms a large part of the medial wall of the orbit. The ethmoid bone is an anterior cranial bone located between the eyes.] It contributes to the medial wall of the orbit, the nasal cavity, and the nasal septum. The ethmoid has three parts: cribriform plate, ethmoidal labyrinth, and perpendicular plate.